Foul smelling nasal discharge is seen in all except
1. Nasal myiasis
2. Choanal atresia
3. Foreign body in nose
4. Rhinolith

Correct answer: 2. Choanal atresia

Explanation: Foul-smelling discharge is seen in Nasal myiasis, Foreign body in the nose, Rhinolith In choanal atresia, there is no foul smelling discharge and it is characterized by mucoid discharge in the nose, absence of air bubble in nasal discharge, failure to pass catheter from nose to pharynx. Ref: Textbook of diseases if ENT; PL Dhingra; the edition, pg no. 181,183